50 years old male presents with 2 cm right solitary pulmonary nodule on X ray chest with scalloped margins and patient currently smokes 12 cigarettes per day. what is the risk of developing invasive carcinoma for such a patient ?
1. Very low
2. Low
3. Intermidiate
4. High

Correct answer: 3. Intermidiate

Explanation: Ans. is 'c' i.e., Intermidiate